A 20 year old male was brought to the emergency department after he suffered a stab wound in the anterior chest wall. CT scan revealed arterial extravasation from injury to the internal thoracic artery. The condition causes a decrease in blood supply through all of the following blood vessels, except
1. Superior epigastric
2. Musculophrenic
3. Anterior intercostal
4. Posterior intercostal

Correct answer: 4. Posterior intercostal

Explanation: Posterior inntercostal arteries are not branches of the internal thoracic artery, hence there would be no decrease in blood supply through these arteries. There are 11 pairs of posterior intercostal arteries. The first 2 pairs are branches of superior intercostal artery, a branch of costocervical trunk. They are distributed to upper 2 intercostal spaces. The lower 9 pairs are branches of the descending thoracic aorta and are distributed to the lower 9 intercostal spaces. Branches of the internal thoracic artery: Terminal branches at the level of the 6th intercostal space: Superior epigastric artery. Musculophrenic artery. Sternal branches to: Transversus thoracis muscle Peritoneum of the posterior sternal surface. Sternal red bone marrow. Anterior intercostal arteries for the first 6 intercostal spaces. Perforating branches that pierce and supply pectoralis major and then become direct cutaneous vessels that supply the skin. Ref: Gray's Anatomy 41st edition Pgno: 942